Tinea Capitis is caused by all except -
1. Epidermophyton
2. Microsporum
3. T. Violaceum
4. T. Schoenleinii

Correct answer: 1. Epidermophyton